Which of the following statements about changes in articular cartilage with aging is not TRUE?
1. Total proteoglycan content is decreased
2. Synthesis of proteoglycans is decreased
3. Total water content of cartilage is decreased
4. Enzymatic degradation of proteoglycans is increased

Correct answer: 4. Enzymatic degradation of proteoglycans is increased

Explanation: In ageing there will be no increase in enzymatic degradation of proteoglycans. The enzymatic degradation is slow and constant throughout the life. Ref: Biology of Cartilage Cells, Stockwell, R.A, 1976, 1st Edition, Page 245; Osteoarthritis : A companion to Rheumatology, Elsevier, 1st Edition, 2007, Page 79.